Wasserman test is diagnostic of
1. Syphilis
2. Gonorrhea
3. TB
4. Typhoid

Correct answer: 1. Syphilis